Epulis arises from
1. Enamel
2. Root of teeth
3. Gingiva
4. Pulp

Correct answer: 3. Gingiva

Explanation: Epulis literally means 'upon the gum'. Thus it is a swelling situated on the gum.
It can originate from the mucous membrane, the periosteum or the bone giving rise to different varieties of Epulis.